'Learned behaviour which is socially acquired' is known as:-
1. Customs
2. Acculturation
3. Standard of living
4. Culture

Correct answer: 4. Culture

Explanation: Culture : is the learned behavior which is socially acquired. Acculturation : Is 'culture contact' or mixing of two cultures. It can occur through; Trades & commerce Industrialization Propagation of religion Education Conquest Custom : the established pattern of behavior that can be objectively verified within a particular social setting Folkwares : Right ways doing thing in less vital areas of human conduct. Mores: More stringent customs. Attitude : A relatively enduring organization of beliefs around an object or concept, which predisposes one to respond in a certain manner Attitude are acquired characteristics which are more or less permanent ways of behaving.